A newborn is hypermetropic by
1. + 2.5 D
2. + 5D
3. + 10 D
4. + 1D

Correct answer: 1. + 2.5 D

Explanation: * (N) REFRACTIVE error at birth 2-3 D hypermetropic' * BY the age of 5-7 years the eye is emmetropic and remains so till the age of about 50 years* After 50 years of age there is tendency to develop hypermetropia again which gradually increase the extreme of life by which the eye has the same +2 TO +3 with which it started. this senile hypermetropia is due to change in the lens.